46 years old female in Eye OPD presents with right eye vision 6/60 and left vision as 3/60-
1. Socially blind
2. Low vision
3. Economically blind
4. Normal vision

Correct answer: 2. Low vision

Explanation: Normal vision-6/6 to 6/60 Low vision less than 6/18 to 6/60 and less than 6/60 to3/60 Blindness less than 3/60 Ref- A.K.Khurana textbook of Ophthalmology 6th edition.